All of the following statements regarding vas deference are true except -
1. The terminal part is dilated to form ampulla
2. It crosses ureter in the region of ischial spine
3. It passes lateral to inferior epigastric artery at deep inguinal ring
4. It is separated from the base of bladder by the peritoneum

Correct answer: 4. It is separated from the base of bladder by the peritoneum

Explanation: The base of bladder and vas deferens are closely apposed as there is no peritoneum in between them.